Which of the following is a bactericidal drug against Mycobacterium leprae?
1. Erythromycin
2. Ofloxacin
3. Cotrimoxazole
4. Amoxicillin

Correct answer: 2. Ofloxacin

Explanation: Answer- B. OfloxacinOfloxacin Over 99.9% bacilli were found to be killed by 22 daily doses of ofloxacin monotherapy